Drug that is not used in renal failure is :
1. Ethambutol
2. Rifampicin
3. Isoniazid
4. Streptomycin

Correct answer: 4. Streptomycin